Structure passing through Foramen Ovale is:
1. Maxillary artery
2. Mandibular nerve
3. Middle meningeal artery
4. Spinal accessory nerve

Correct answer: 2. Mandibular nerve

Explanation: Mandibular nerve